Intramuscular route is precluded during the medication of:
1. Anti-hypertensives
2. Anti-diabetics
3. Anticoagulants
4. Anti-fibrinolytics

Correct answer: 3. Anticoagulants